Stain used for Fat cells is :
1. PAS
2. Alcian blue
3. Masson trichrome
4. Sudan IV

Correct answer: 4. Sudan IV

Explanation: Sudan IV